Hallucinations can occur after the use of?
1. Halothane
2. Isoflurane
3. Ketamine
4. Thiopentone

Correct answer: 3. Ketamine

Explanation: Ans. c (Ketamine). (Ref. KD Tripathi Pharmacology 6th/pg. 376).With KETAMINE, Emergence delirium, hallucinations and involuntary movements occur upto 50% patients during recovery; but injection is not painful.Ketamine# Ketamine is pharmacologically related to the hallucinogen phencyclidine; induces so called 'dissociative anaesthesia' characterized by profound analgesia, immobility, amnesia with light sleep and feeling of dissociation from ones own body and the surroundings.# The primary site of action is in the cortex and subcortical areas; not in the reticular activating system (site of action of barbiturates). Respiration is not depressed, airway reflexes are maintained, muscle tone increases; limb movements occur and eyes may remain open.# Heart rate, cardiac output and BP are elevated due to sympathetic stimulation. A dose of average 1.5 mg/kg i.v. or 5 mg/ kg i.m. produces the above effects within a minute, and recovery starts after 10-15 min, but patient remains amnesic for 1-2 hr.# Children tole rate ketamine better. Ketamine is metabolized in the liver and has an elimination 11/2 of 3-4 hr.# Ketamine has been used for operations in head and neck, in patients who have bleeding, asthmatics (relieves broncho- spasm), in those who do not want to lose consciousness and in short operations. It is good for repeated use, particularly suitable for bum dressing. Combined with diazepam, it has found to beuseful in angiographies, cardiac catheterization, and trauma surgery.# It may be dangerous in hypertensives, in ischaemic heart disease and those with raised intracranial pressure (increases cerebral blood flow), but is good for hypovolemic patients.